What are the EEG waves recorded for the parietooccipital region with subject awake & eye closed
1. Alpha waves
2. Beta waves
3. Delta waves
4. Theta waves

Correct answer: 1. Alpha waves

Explanation: Alpha rhythm is most marked in parietal and occipital lobe. It is produced when the person is awake with eye closed.